A 56-year-old man is diagnosed with an extradural tumor in the posterior cranial fossa. When the patient protruded his tongue during physical examination, the tongue deviated to the right. Which of the following muscles and nerves are most likely injured?
1. Right hypoglossal nerve and right genioglossus
2. Left hypoglossal nerve and left genioglossus
3. Right hyoglossus and left styloglossus
4. Right geniohyoid and first cervical nerve

Correct answer: 1. Right hypoglossal nerve and right genioglossus

Explanation: The hypoglossal nerve innervates the muscles of the tongue and is therefore directly involved in alteration of shape and movement of the tongue. A lesion in this nerve would cause deviation of the tongue toward the injured side, which could be observed upon protrusion of the tongue. The genioglossus is the major muscle involved in protrusion of the tongue. The genioglossus muscles arise from the inside of the mandible and pass posteriorly to insert into the deep aspect of the tongue. When the genioglossi contract, they pull the tongue forward, and out of the mouth, in protrusion. If one genioglossus is paralyzed, it acts like a brake on one side of the tongue when the tongue is pulled forward, causing the tip of the tongue to point to the nonmoving side. The styloglossus muscle is responsible for retraction and elevation of the tongue.